Sensorineural deafness may be feature of all of the following conditions, EXCEPT:
1. Alport syndrome
2. Bartter syndrome
3. Nail-patella syndrome
4. Distal renal tubular acidosis

Correct answer: 3. Nail-patella syndrome

Explanation: Alport syndrome, Bartter syndrome and distal renal tubular acidosis are all associated with sensorineural hearing loss. Alport syndrome consist of nephritis and progressive sensorineural hearing loss. Bartter syndrome consist of hypokalemia, metabolic alkalosis and sensorineural hearing loss. Distal renal tubular acidosis is associated with growth retardation and hearing loss.